Rubeosis iridis is NOT COMMONLY seen in:
1. CRVO
2. CRAO
3. Diabetic retinopathy
4. Neovascularization

Correct answer: 2. CRAO

Explanation: Rubeosis iridis or neovascularization of iris is a medical condition of the iris in which new blood vessels are found on the surface of the iris. It is associated with conditions which cause ischemia of the retina. Conditions commonly associated with rubeosis iridis are central retinal vein occlusion, proliferative diabetic retinopathy, ocular ischemic syndrome, ocular surgery complication and chronic retinal detachment. Rubeosis iridis may also be associated with CRAO but is less common than with CRVO. Ischemic diseases of the retina causes the release of VEGF which in turn stimulate angiogenesis. They can be seen on the iris, and it can also grow into the angle of the eye resulting in an increase in intra ocular pressure. Ref: Glaucoma Surgery edited by Ashok Garg, page 350, Ocular Angiogenesis: Diseases, Mechanisms, and Therapeutics edited by Joyce Tombrain-Tink, PAGE 128.